Ansa cervicalis supplies -
1. Sternohyoid
2. Mylohyoid
3. Cricothyroid
4. Stylohyoid

Correct answer: 1. Sternohyoid

Explanation: Sternohyoid is supplied by ansa cervicalis.
Mylohyoid is supplied by nerve to mylohyoid (branch of inferior alveolar nerve)
Stylohyoid is supplied by facial nerve.
Cricothyroid is supplied by external laryngeal nerve.